In a study to determine relationship between presence of I.H.D and smoking, the appropriate Statistical test is
1. Z-test
2. Paired 't' test
3. Chi-square test
4. None of the above

Correct answer: 3. Chi-square test

Explanation: CHI-SQUARE TEST Chi-square (x2) Test offers an alternate method of testing the significance of difference between two proportions. It has the advantage that it can also be used when more than two groups are to be compared. Steps (1) TEST THE 'NULL HYPOTHESIS' (2) APPLYING THE x2 TEST (3) FINDING THE DEGREE OF FREEDOM (4) PROBABILITY TABLES Ref : Park 23rd edition Pgno : 852